Aspirated synovial fluid in septic arthritis will have which of the following charecteristics ?
1. Clear color
2. High viscosity
3. Markedly increased polymorphonuclear leukocytes
4. None of the above

Correct answer: 3. Markedly increased polymorphonuclear leukocytes

Explanation: Septic arthritis: arthritis caused by pyogenic organisms.presents as acute painful arthritis.Staphylococcus aureus is the commonest causative organism. Presents with severe throbbing pain,sweling and redness of affected joint. This is associated with high grade fever and malaise. The child is unable to use affected limb. Investigations: Joint aspiration: viscosity-variable Color-variable Clarity-opaque WBC->10000 PMN leucocytes->75% Mucin clot - friable. Blood :neutrophilic leucocytosis X ray: increased joint space and a soft tissue shadow corresponding to distended capsule to swelling of joints. REF:Essential Orthopaedics.Maheswari &Mhaskar.Edition 9.Pg no:177